All of the following are true about pulp space infection except -
1. It is also called as felon
2. It is a painless condition
3. It may lead to necrosis of finger pulp
4. It is infection of small compartments in the pulp formed by vertical septa

Correct answer: 2. It is a painless condition

Explanation: Ans. is 'b' i.e., It is a painless condition Felon/Whitlowo Fingertip pulp is divided into numerous small compartments by vertical septa that stabilize the pad. Infection occurring within these compartments can lead to abscess formation, edema, and rapid development of increased pressure in a closed space. This increased pressure may compromise blood flow and lead to necrosis of the skin and pulp